NADA's criteria are used for-
1. Assessment of child for degree of dehydration
2. Assessment of child for degree of malnutrition
3. Assessment of child for presence of heart disease
4. Assessment of child for degree of intellectual disability

Correct answer: 3. Assessment of child for presence of heart disease

Explanation: Ans. is 'c' i.e., Assessment of child for presence of Heart disease The Assessment of a child for the presence or absence of heart disease can be done with the help of some guidelines suggested by NADA. These guidelines are called NADA's criteria.NADA's criteriao The Assessment of a child for the presence or absence of heart disease can be done with the help of some guidelines suggested by NADA. These guidelines are called NADA's criteria.MajorMinoro Systolic murmur, grade III or more, especially with thrillo Systolic rpurmur < grade IIIo Diastolic murmuro Abnormal 2nd heart soundo Abnormal ECGo Cyanosiso Abnormal X-rayo Congestive cardiac failureo Abnormal BPPresence of one major or two minor criteria are essential for indicating the presence of heart disease.